Stain not used for lipid
1. Oil red 0
2. Congo red
3. Sudan III
4. Sudan black

Correct answer: 2. Congo red

Explanation: Congo red Congo red is not used in lipid staining. It is used in the staining of antyloid protein STAINING FOR LIPIDS Non polar lipids Examples Stain used * Unconjugated lipids Fatty acids Oil red 0, Sudan black, Sudan III & IV Cholesterol Filipin * Esters Cholesteryl esters Schultz Monodi and Tri-glycerides Calcium lipase * Polar lipids - Phospholipids - Glycerol bases Phosphatidylcholine Nile blue sulfate Phosphatidylserine Nile blue sulfate Phosphatidylethanol amine Plasmal reaction - Sphingosine-base Sphingomyelins Ferric hematoxylin - Glycolipids Cerebrosides PAS Sulfatides Acetone/Toluidine blue Gangliosides PAS